The following fractures are known for Non-union except:
1. Fracture of lower half of tibia
2. Fracture of neck of femur
3. Fracture of scaphoid
4. Supracondylar fracture of humerus

Correct answer: 4. Supracondylar fracture of humerus

Explanation: D i.e. Supracondylar humerus The distal humeral metaphysis (supra condylar area) is a well vascularized area with remarkably rapid healing and nonunion of a supracondylar fracture is extremely rareQ. Nonunion is almost never seen without infection (open wounds) and /or extensive soft tissue devascularization.